False about Sjögren’s syndrome is
1. Female : male ratio is 10:1
2. Destruction of salivary glands
3. Lymphocytic infiltration of glands
4. Anti smith antibodies are present

Correct answer: 4. Anti smith antibodies are present

Explanation: Anti RO and anti-la antibodies are specific for Sjögren’s syndrome.